Medical treatment of acute pancreatitis includes
1. Calcium
2. Glucagon
3. Aprotinin
4. Cholestyramine

Correct answer: 1. Calcium

Explanation: Treatment Cornerstone of the treatment : Aggressive fluid resuscitation using isotonic crystalloid solution with supplementary oxygen Narcotics are usually preferred, especially Buprenophine >Morphine as analgesics In acute pancreatitis medical treatment Analgesics (Buprenophine, meperidine) IV fluids and colloids No oral alimentation Treatment of hypocalcaemia, if symptomatic Antibiotics Ref: Sabiston 20th edition Pgno :1524-1528